Commonest type of congenital cyanotic heart disease:
1. Atrial septal defect
2. Ventricular septal defect
3. Tetralogy of Fallot
4. Patent ductus arteriosus

Correct answer: 3. Tetralogy of Fallot